The finger rest established on tooth surfaces on the opposite side of the same arch is known as:
1. Conventional finger rest
2. Opposite arch finger rest
3. Cross - arch finger rest
4. Finger - on - finger rest

Correct answer: 3. Cross - arch finger rest